All of the following statements are true about congenital rubella except:
1. It is diagnosed when the infant has IgM antibodies at birth
2. It is diagnosed when IgG antibodies persist for more than 6 months
3. Most common congenital defects are deafness, cardiac malformation and cataract
4. Infection after 16 weeks of gestation results in major congenital defects

Correct answer: 4. Infection after 16 weeks of gestation results in major congenital defects

Explanation: Ans. is 'd' i.e., Infection after 16 weeks of gestation results in major congenital defects(Ref: Harrison, 18th/e, p. 1606; 19th/e, p. 1300)* The most important factor in the pathogenicity of Rubella virus for the fetus is gestational age at the time of infection.* "In general, the earlier in pregnancy infection occurs, the greater the damage to the fetus. Maximum damage to the fetus occurs when infection acquired in the first trimester of pregnancy."* Risk of damage to fetus by maternal rubella during pregnancy.* Birth defects are uncommon if maternal infection occurs after the 20th week of gestation.